Temporary carrier of typhoid is infective for: -
1. < 3 weeks
2. 3 weeks-3 months
3. 3 months- 1 year
4. >1 year

Correct answer: 3. 3 months- 1 year

Explanation: Temporary carrier of typhoid is infective for 3 months- 1 year. Option 1, 2, 3, 4 Carriage:Up to 5% of untreated patients become carriers. Vi antibody if persists, indicates the development of the carrier state. 1. Carriers of are of two types: Fecal carriers (more common): Multiply in the gallbladder and are excreted in feces. Urinary carriers: Multiplication takes place in kidneys and bacilli are excreted in urine. 2. Duration of shedding: Carriers continue to shed bacilli in feces and urine for: Convalescent carriers: 3 weeks to 3 months (after clinical cure). Temporary carriers: 3 months to 1 year. Chronic carriers: for more than 1 year.